What is the probable diagnosis for a cyst in a child which is located at and associated with Vertebral Defects?
1. Myelocele
2. Bronchogenic cyst
3. Neuroenteric cyst
4. Neuroblastoma

Correct answer: 3. Neuroenteric cyst

Explanation: Vertebral defects in association with intraspinal cyst suggest the diagnosis of neuroenteric cyst. Ref: Neural tube defects- Jorge A Lazareff , Page 165, 166, 167; Text book of disorders and injuries of the musculoskeletal system- Robert Bruce Salter, Page 167; Esophageal cancer:Principles and practice, Page 327